All of the following are associated with proximal muscle weakness except –
1. Spinomuscular atrophy
2. Duchenis muscular dystrophy
3. Polymyositis
4. Myotonic dystrophy

Correct answer: 4. Myotonic dystrophy

Explanation: The general rule in that :
Myopathies have proximal muscle weakness.
Neuropathies have distal muscle weakness.
Myotonic dystrophy is an exception to this general rule and mainly involves the distal muscles. Also, know
The difference between myopathy and muscular dystrophy.

Myopathy

Any skeletal muscle disorder that causes structural changes or functional impairment of muscle. It also includes muscular dystrophies.

Muscular dystrophy

The muscular dystrophy means an abnormal growth of muscle.
It is characterized by -


It is a primary myopathy 
It has a genetic basis 
Course is progressive   
Degeneration & Death of muscle fibres occur at some stage of the disease      


So, muscular dystrophy is a type of myopathy.